Caseating granuloma is commonly seen in
1. Viral infections
2. Tuberculosis
3. Typhoid
4. Amoebiasis

Correct answer: 2. Tuberculosis